The fall in blood pressure caused by d-tubocurarine is due to:
1. Reduced venous return
2. Ganglionic blockade
3. Histamine release
4. All of the above

Correct answer: 4. All of the above

Explanation: d-tubocurarine :- - is a competitive NM blocker. It produces fall in BP due to:- - causes Blockade of sympathetic ganglia. - causes Histamine release. - Reduced venous return as a result of paralysis of limb and respiratory muscles.